The ideal place to record body temperature in dead body is:
1. Rectum
2. Axilla
3. Mouth
4. Groin

Correct answer: 1. Rectum

Explanation: Ans. Rectum